All are True statements regarding Okazaki fragment EXCEPT?
1. Requires DNA polymerase
2. Forms on leading strand
3. Forms on lagging strand
4. Requires helicase for opening

Correct answer: 2. Forms on leading strand

Explanation: Ans. is 'b' i.e., Forms on leading strand DNA polymerases responsible for copying the DNA templates are only able to "read" the parental nucleotide sequence in 3' - 5' direction, and they synthesize the new DNA strands only in 5' - 3' direction. Therefore, 2 newly synthesized chains must grow in opposite directions.The DNA chain which runs in the 3' to 5' direction towards replication fork as continued strand is called leading strand. This requires only one RNA primerThe DNA chain which runs in the 5' to 3' direction away from the replication fork is called lagging strand. It is synthesized discontinuously and requires numerous RNA primers.As the replication fork moves, RNA primers are synthesized at specific intervals. These RNA primers are extended by DNA polymerase III into sho pieces of DNA called Okazaki fragments.